Section 376 AB I.P.C deals with:
1. Rape on a woman below 16 years
2. Rape on a woman below 12 years
3. Gang rape on a woman below 12 years
4. Gang rape on a woman below 16 years

Correct answer: 2. Rape on a woman below 12 years

Explanation: Section 376 AB IPC deals with rape on girl below 12 years on the basis of recent amendment in 2018. Important IPC's : 376 A Victim suffers death or PVS due to rape (20 yrs to life/death) 376 B Forceful Sex with wife during separation 376 AB Rape of girl < 12 years (20 yrs to life/ death) 376 C Sex by a person in authority 376 D Gang rape ( 20 years to life/ death) 376 DA Gang rape of girl < 16 years (life / death) 376 DB Gang rape of girl < 12 years (life/ death) 376 E Punishment for repeated offenders (Life imprisonment or death)